Inferior thyroid vein drains into?
1. Internal jugular vein
2. Superior ven cava
3. Brachiocephalic vein
4. External jugular vein

Correct answer: 3. Brachiocephalic vein

Explanation: Superior & middle thyroid veins drain into the internal jugular vein and the inferior thyroid vein drain into the brachiocephalic vein.